Amyloid stroma is seen in which Ca thyroid -
1. Papillary Ca
2. Medullary Ca
3. Anaplastic Ca
4. Follicular Ca

Correct answer: 2. Medullary Ca